Treatment of acute phase of Kawasaki Disease is -
1. Aspirin
2. IV steroids
3. IV immunoglobins
4. Cyclophosphamide

Correct answer: 3. IV immunoglobins

Explanation: Ans. is 'c' i.e., IV immunoglobins Kawasaki diseaseo Kawasaki disease, also known as lymph node syndrome, mucocutaneous-lymph node syndrome, and infant polyarteritis, is a poorly understood self-limited vasculitis that affects many organs, including the skin mucous membrane, lymph nodes, heart and blood vessel wallso It is usually seen in children younger than 5 years.# Kawasaki disease predominantly affect medium sized vessels, but may also affect small or large vessels.# Presentation may be -1) Mucocutaneous, lymph node involvement: Conjunctival injection, erythema, strawberry tongue, rash with perineal desquamation, Beau's line (transverse grooves on nails), cervical lymphadenopathy.2) Heart: Coronary vasculitis, coronary artery aneurysm (in 25% patients), coronary ectasia, MI, valvular regurgitation.# Treatment of choice for acute phase is intravenous immunoglobulin along with high dose of aspirin. For subacute phase low dose aspirin is given.